Epley's test is used for__________
1. Benign paroxysmal vertigo
2. Basilar migraine
3. Orthostatic hypotension
4. Thoracic outlet syndrome

Correct answer: 1. Benign paroxysmal vertigo

Explanation: Benign paroxysmal positional vertigo (BPPV): It is characterised by vertigo when the head is placed in a certain critical position. There is no hearing loss or other neurologic symptoms. Disease is caused by a disorder of posterior semicircular canal though many patients have history of head trauma and ear infection It has been demonstrated that otoconial debris, consisting of crystals of calcium carbonate, is released from the degenerating macula of the utricle and floats freely in the endolymph The condition can be treated by performing Epley's manoeuvre. The principle of this manoeuvre is to reposition the otoconial debris from the posterior semicircular canal back into the utricle. The manoeuvre consists of five positions. Position 1; With the head turned 45deg, the patient is made to lie down in head-hanging position (DixHallpike manoeuvre). It will cause vertigo and nystagmus. Wait till vertigo and nystagmus subside. Position 2. Head is now turned so that affected ear is up. Position 3. The whole body and head are now rotated away from the affected ear to a la teral recumbent position in a face-down position. Position 4. Patient is now brought to a Sitting posiition with head st ill turned to the unaffected side by 45deg Position 5. The head is now turned forward and chin brought down 20deg.